Hypotensive, hyporesponsive episode following immunization can be seen in:-
1. fIPV
2. Pertussis
3. Rota
4. Hepatitis B

Correct answer: 2. Pertussis

Explanation: Hypotensive, hyporesponsive episode following immunization is seen mainly with DTP, rarely other vaccines. In DPT vaccine, pertusis component is mainly responsible for Hypotensive hypo responsive episode (HHRE) It can also result in persistent inconsolable crying.